Delirium tremens is caused by ?
1. Chronic alcoholism
2. Alcohol withdrawal
3. Cocaine abuse
4. Cocaine withdrawal

Correct answer: 2. Alcohol withdrawal

Explanation: Alcohol withdrawal REF: Kaplan & Sadock's Synopsis of Psychiatry 9th edition page 396-413ALCOHOL INDUCED CONDITIONS Alcohol withdrawal syndromeChronic use syndromes*Hangover (most common)*Wernicke's Encephalopathy*Alcoholic Hallucinosis*Korsakoff's Psychosis*Alcoholic seizures (Rum fits)*Marchiafava Bignami disease*Delirium Tremens